Xylocaine heavy in subarachnoid space has concentration of
1. 1%
2. 2%
3. 3%
4. 5%

Correct answer: 4. 5%

Explanation: D i.e. 5%